Taurodontism is usually seen in:
1. Mesiodens
2. Incisor with talon cusp
3. Mandibular first molar
4. Maxillary premolars

Correct answer: 3. Mandibular first molar